Landau reflex is absent in:
1. Hypotonia.
2. Hypertonia.
3. Mental abnormality.
4. All of the above.

Correct answer: 4. All of the above.